PUVA treatment is not used in:
1. Melasma
2. Vitiligo
3. Psoriasis
4. Cutaneous T cell lymphoma

Correct answer: 1. Melasma

Explanation: Ans: A (Melasma) Ref: Rook's Dermatology, 8th edExplanation:PUVA TherapyPsoralens + UV-A radiationThree Psoralens are used clinically8 methoxypsoralen (8 MOP)5 methoxypsoralen ( 5 MOP)Triniethyl psoralen (TMP)They are active only when combined w ith UVA radiation.It interferes with DNA synthesis and blocks epidermal cell proliferation.Also has immunomodulatory and immunosuppressive effects.Induced epidermal thickening and melanogenesis.DosageOral 8-MOP given in a dose of 0.6 -0.8 mg/kg/ weight/day.Two hours later, patient is exposed to UV-A radiation at a dose of 1 Joule/square cmUV-A dose gradually increased depending on skin type and onset of erythemaTherapy given 2 -3 times per weekNumber of exposures required for control: 15 - 25IndicationsPsoriasisVitiligoPhotodermatosesCutaneous T-eell lymphomaSide effectsNausea and VomitingCutaneous:Acute sunburnIrreversible pigmentationPUVA LentigenesActinic keratosesPremature aging of skinOcular - Cataract (Prevented by using sunglasses during treatment)Carcinogenesis